During the T-P interval in an ECG of a patient with a damaged cardiac muscle, which of the following is true?
1. The entire ventricle is depolarized
2. The entire ventricle is depolarized except for the damaged cardiac muscle
3. The entire ventricle is repolarized
4. The entire ventricle is repolarized except for the damaged cardiac muscle

Correct answer: 4. The entire ventricle is repolarized except for the damaged cardiac muscle

Explanation: During the T-P interval in a patient with a damaged ventricle, the only area depolarized is the damaged muscle. Therefore, the remainder of the ventricle is repolarized. At the J point, the entire ventricle is depolarized in a patient with a damaged cardiac muscle or in a patient with a normal cardiac muscle. The area of the heart that is damaged will not repolarize but remains depolarized at all times.